In evaluating the menstrual cycle, which is TRUE?
1. Estrogen secretion predominates during week prior to menstruation.
2. Ovulation follows a surge in LH.
3. Progesterone predominates the first week after menstruation.
4. FSH is released at midcycle.

Correct answer: 2. Ovulation follows a surge in LH.

Explanation: The proliferative (follicular) phase (estrogen) is between the first days of menstrual bleeding to ovulation. If fertilization does not take place, progesterone release results in the endometrial proliferative phase. FSH stimulates the cycle of follicular proliferation.